After hyperpolarisation phase of the action potential is due to
1. An outward calcium current
2. An inward chloride current
3. An outward potassium current
4. An outward sodium current

Correct answer: 3. An outward potassium current

Explanation: After hyperpolarisation Phase : Part of action potential below RMP
It is due to slow return of K+ channels to closed